Destruction of zona glomerulosa will deplete
1. Aldosterone
2. Cortisol
3. Testosterone
4. Catecholamines

Correct answer: 1. Aldosterone

Explanation: The zona glomerulosa makes up 15% of the mass of the adrenal gland; the zona fasciculata, 50%; .and the zona reticularis, 7%. All three cortical zones secrete corticosterone, but the active enzymatic mechanism for aldosterone biosynthesis is limited to the zona glomerulosa, whereas the enzymatic mechanisms for forming cortisol and sex hormones are found in the two inner zones. Furthermore, subspecialization occurs within the inner two zones, the zona fasciculata, secreting mostly glucocorticoids and the zona reticularis, secreting mainly sex hormones. Ref: Ganong's review of medical physiology,23rd edition, page: 338